Inability to maintain penile erection to conclude coitus to orgasm and ejaculation is called -
1. Impotence
2. Frigidity
3. Sterility
4. Bestiality

Correct answer: 1. Impotence

Explanation: Ans. is 'a' i.e., Impotence * Impotence in male is defined as persistent inability to develop or maintain penile erection sufficient to conclude coitus to orgasm or ejaculation.* Impotence is a term generally applied to incapacity of male partner.* In females the term impotence is not used, term frigidity is used.